Conduction velocity is maximum in-
1. Bundle of His
2. Purkinje System
3. Ventricular muscles
4. Atrial pathway

Correct answer: 2. Purkinje System

Explanation: Ans. is 'b' i.e., Purkinje System Cardiac tissueConduction velocity (meter/second)SA nodeInteatrial pathwaysAtrial muscleAV nodeBundle of HisPurkinje systemVentricular muscle0 [?] 0510 [?] 300 [?] 05 (minimumQ)14 (maximumQ)1